Tinea capitis is caused by all the following Except
1. T. mentagrophytes
2. T. verrucosum
3. E. floccosum
4. M. canis

Correct answer: 3. E. floccosum

Explanation: Trichophyton - involves skin, hair & nails Microsporum - spares nail Epidermophyton - spares hair Ref Harrison 20th edition pg 1212